Ideal treatment of rhinosporidiosis is
1. Rifampicin
2. Dapsone
3. Excision with cautery at base
4. Laser

Correct answer: 3. Excision with cautery at base

Explanation: Rhinosporodiosis * Rhinosporodiosis is a Fungal Granuloma. * Agent : Rhinosporidium seeberi. * Source : Contaminated water of ponds. Clinical features:- * Leafy polypoidal mass, pink to purple in color studded with while dots (Strawberry appearance). * It is highly vascular and bleeds on touch. * Patients complain of blood tinged nasal discharge/epistaxis Diagnosis:- * Biopsy shows several sporangia filled with spores. * Treatment - Complete excision of mass with diathermy knife and cauterization of base. * Recurrence is common after surgery. Ref:- Dhingra 5th edition pg num:- 174